Treatment of pouch of Douglas abscess is -
1. Laparotomy
2. Posterior colpotomy
3. Antibiotics
4. Extraperitoneal drainage

Correct answer: 2. Posterior colpotomy